A 5 year old child with high grade fever and reduced movement at left knee, diagnosed with osteomyelitis, gold standard investigation is
1. MRI
2. Bone scan
3. Biopsy
4. X-ray

Correct answer: 3. Biopsy